Sterilization & disinfection of blood spills is done by-
1. Fordaldehyde
2. Sodium Hypochlorite
3. Tincture iodine
4. Phenols

Correct answer: 2. Sodium Hypochlorite

Explanation: .
hypochlorites are the most widely used chlorine disinfectants.sodium hypochlorite is available as a liquid.aqueous solutions of this of 5.25 to 6.15 percent is called "house bleach".they have a broad spectrum of antimicrobial activity.do not leave toxic residues,are unaffected by hardness of water are inexpensive and fast acting remove driede or fixed organisms and biofilms from surfaces.

ref;park's textbook of preventive and social medicine,22 nd edition,pg no 120